The 6-year-old drowsy child came in an emergency with a history of vomiting, loose motion for 3 days. On examination, he had a sunken eye, hypothermia, the skin on pinching taken time to revert diagnosis -
1. Nodehydration
2. Severe dehydration
3. Mild dehydration
4. Some dehydration

Correct answer: 2. Severe dehydration

Explanation: A child with severe dehydration will have at least two of the following four signs: sensorium is abnormally sleepy or lethargic, sunken eyes, drinking poorly or not at all, and a very slow skin pinch,
A child with some signs of dehydration will have two of the following: restlessness or irritability, sunken eyes, drinking eagerly or slow r skin pinch.
A child with either one or none of these signs is classified as having no signs of dehydration.